2.IDDM patient presents with septal perforation of nose with brownish black discharge probable diagnosis is:
1. Rbinosporidiosis
2. Aspergillus
3. Leprosy
4. Mucormycosis

Correct answer: 4. Mucormycosis

Explanation: Mucormycosis is a fungal infection of nose and paranasal sinuses which may prove rapidly fatal if untreated.It is seen in uncontrolled diabetes or those taking immunosuppressive drugs.It presents as black necrotic mass filling the nasal cavity and eroding the septum and hard palate. Treatment is by amphotericib B and surgical debridement. Ref Dhingra 6/e p 159.